Yellow fever vaccination starts protection after how many days of injection -
1. 5 days
2. 10 days
3. 15 days
4. 20 days

Correct answer: 2. 10 days